Oculo-orogenital syndrome is a feature of
1. Behcet's disease
2. Lichen planus
3. SLE
4. Psoriasis

Correct answer: 1. Behcet's disease

Explanation: Ans. a. Behcet's diseaseBehcet's SyndromeClinical features of Behcet's diseaseRecurrence painful aphthous oral ulcersRecurrent painful genital ulcers leading to scarsOcular involvement: Posterior and Anterior uveitis, glaucoma, cataractOther manifestations: Arthritis, thrombophlebitis, Erythema nodosum with renal, cardiac and pulmonary manifestationsTreatmentSymptomatic managementSevere cases-corticosteroids, Dapsone, colchicine, thalidomide